Excessive production of aldosterone results in -
1. Metabolic acidosis
2. Severe hypotension
3. Potassium retention
4. Depressed plasma renin

Correct answer: 4. Depressed plasma renin

Explanation: Because of increased aldosterone there will be negative feedback on renin which lead to decreased renin production Primary hyperaldosteronism is one of the cause for LOW RENIN hypertension (Reference Harrison 20 th edition page no 2729)